The apoprotein associated with LCAT is
1. Apo A
2. Apo B
3. Apo C
4. Apo E

Correct answer: 1. Apo A

Explanation: Lecithin: cholesterol acyltransferase (LCAT) activity is associated with HDL containing apo A-I. As cholesterol in HDL becomes esterified, it creates a concentration gradient and draws in cholesterol from tissues and from other lipoproteins, thus enabling HDL to function in reverse cholesterol transport. Reference: Harper; 30th edition; Page no: 272